Which of the following cell types is not a target for initiation and maintenance of HIV infection?
1. CD4 T cell
2. Macrophage
3. Dendritic cell
4. Neutrophil

Correct answer: 4. Neutrophil

Explanation: Selective tropism for CD4 molecule receptor. gp120 envelope glycoprotein of HIV has selective tropism for cells containing CD4 molecule receptor on their surface; these cells most importantly are CD4+ T cells (T helper cells); other such cells include monocyte-macrophages, microglial cells, epithelial cells of the cervix, Langerhans cells of the skin and follicular dendritic cells. Initially, HIV on entering the body any route described above has tropism for macrophages (M-tropic) while later it becomes either dual tropic or T-tropic only and thus affects mainly CD4+ T cells which are the main target of attack by HIV. Ref: Harsh Mohan - Textbook of Pathology, 6th Edition.page no.69